Stellate ganglion block is useful in:
1. Sudeck osteodystrophy
2. Compound palmar ganglion
3. Tenosynovitis
4. Osteoarthritis of first CMC joint

Correct answer: 1. Sudeck osteodystrophy

Explanation: A i.e. Sudeck osteodystrophy